Exfoliative dermatitis due to gold poisoning is treated by
1. Chloroquine
2. Steroids
3. Antibiotics
4. Anti-histamine

Correct answer: 2. Steroids

Explanation: Exfoliative dermatitis is widespread erythema and scaling of the skin caused by preexisting skin disorders, drugs, cancer, or unknown causes. Symptoms and signs are pruritus, diffuse erythema, and epidermal sloughing. Diagnosis is clinical. Treatment involves corticosteroids and correction of the cause. Antibiotic administration when underlying infection is suspected or identified as cause of exfoliative dermatitis or when a secondary skin and soft tissue infection is present. Intravenous fluids to correct dehydration. Sedating antihistamines for pruritus Ref Harrison20th edition pg 2435